Increased osmotic fragility is seen in -
1. Alpha thalasemia
2. Beta thalassemia
3. Sickle cell anemia
4. Hereditary spherocytosis

Correct answer: 4. Hereditary spherocytosis

Explanation: Ans. is 'd' i.e., Hereditary spherocytosis Osmotic fragility of Red blood cells.o Red blood cell osmotic fragility is the resistance of RBC hemolysis to osmotic changes,o Normally RBC maintains osmotic equilibrium with the surrounding medium i.e., with a serum that has 0[?]9% NaCl.o As the surrounding medium becomes hypotonic fluid will enter into the cell along the osmotic gradient, eventually, under very hypotonic conditions the cell will enlarge to capacity and rupture - Osmotic lysis,o Osmotic fragility is determined by measuring the degree of hemolysis in hypotonic saline.o The normal red cell begins to lyse at 0[?]5% NaCl and the hemolysis is complete at 0[?]3 NaCl.o Red blood cells osmotic fragility is considered to be increased if hemolysis occurs in a NaCl concentration > 0[?]5%.o Osmotic fragility is considered to be decreased if the hemolysis is not complete in a 0[?]3 % of NaCl.Increased osmotic fragilityDecreased osmotic fragility'o Hereditary spherocytosiso Hemolytic anemia (acquired immune)o Malariao Severe pyruvate kinase deficiencyo Hemolytic disease of newborno Iron deficiency anemiao Thalassemiao Liver diseaseo Reticulocytosiso Hemoglobinopathies, HbS, HbC